A non ventilated preterm baby in incubator is under observation. Which is the best way to monitor the baby's breathing and detect apnea
1. Canography
2. Impedence pulmonometry
3. Chest movement monitoring
4. Infrared end Tidal CO2 measurement

Correct answer: 2. Impedence pulmonometry